Panda sign in gallium scan seen in -
1. Sarcoidosis
2. Systemic lupus erythematosus
3. Rheumatoid arthritis
4. Seronegative spondyloarthropathy

Correct answer: 1. Sarcoidosis

Explanation: Ans. is 'a' i.e., Sarcoidosis o Panda sign on gallium scan indicates increased uptake of gallium in parotid glands, nasopharynx and lacrymal glands due to inflammation resembling the dark markings on the pandas face,o Panda sign on gallium scan in usually described in sarcoidosis but it is not specific for sarcoidosis. It can also be seen in lymphoma, sjogren's syndrome, after irradiation and in AIDS.Note : 'Face of giant panda sign' and 'claustral sign' on MRI are the two signs suggestive of Wilsons disease.